Candyloma lata is caused by –
1. H. ducreyi
2. Calymmatobactor granulomatis
3. Treponema pallidum
4. HSV

Correct answer: 3. Treponema pallidum